Which is not a feature of ADHD?
1. Inappropriate hyperactivity
2. Impulsiveness
3. Inattention
4. Dyslexia

Correct answer: 4. Dyslexia

Explanation: (D) Dyslexia # Attention Deficit Hyperactivity Disorder (ADHD)> ADHD is one of the most common psychiatric diagnoses made in school age population seen in 3-10% of school children.> ADHD is characterised by an age inappropriate hyperactivity, impulsiveness and inattention.> The disorder is divided into three classes:> Class I: all three symptoms (majority): Class II: first two only; Class III: mainly the third (relatively uncommon).> Hyperactivity is usually the first symptom to be noticed.> It is three times more common in boys than girls.